Human Development Index (HDI) does not include:-
1. Mean years of schooling
2. Life expectancy at age 1
3. Real GDP per capita
4. Life expectancy at birth

Correct answer: 2. Life expectancy at age 1

Explanation: Human Development Index Have 3 dimensions: Literacy rate aka Knowledge/ Mean years of schooling / Education index/ Enrolment ratio. Income aka income per capita/ US $ PPP Life expectancy at birth aka LE0/ Longevity at birth.